Vascular injury during childhood is common in fracture of:
1. Lower end of humerus
2. Lower end of radius
3. Upper end of femur
4. Upper end of radius

Correct answer: 1. Lower end of humerus

Explanation: A i.e Lower end of humerus